All the following are the effects of oestrogen, EXCEPT:
1. Beneficial effect on cognition
2. Reduced osteoclastic activity
3. Increased osteoblastic activity
4. Increased protein C and S levels

Correct answer: 4. Increased protein C and S levels

Explanation: The effects of oestrogen on the skeletal system includes: 1) Increased osteoblastic activity 2) Reduced osteoclastic activity 3) Prevents osteoporosis 4) Promotes fusion of epiphyses Also know Oestrogen increases factor II, III, IX, X, XII and decreases protein C , S and antithrombin III. Ref: Essentials of Gynaecology by Lakshmi Seshadri, Edition 1, page - 44